Antibody used in treatment of RSV infection
1. Omalizumab
2. Palivizumab
3. Rituximab
4. Daclizumab

Correct answer: 2. Palivizumab

Explanation: Ref Harrison 19 th ed pg 923,1206 Palivizumab is a recombinant humanized,monoclo mon IgG antibody directed against the RSV fusion protein.